Which of the following has highest ionizing potential –
1. X–ray
2. Gamma ray
3. α–rays
4. β–rays

Correct answer: 3. α–rays

Explanation: Penetration power : Gamma rays> X rays > Beta particle >Alpha particle (or helium ion) Ionizing & damaging power: is reserve Alpha particle (or helium ion) > Beta particle > X ray> Gamma ray